Locking of the knee joint occurs with all except-
1. Vastus intermedius
2. Vastus medialis
3. Popliteus
4. Rectus femoris

Correct answer: 3. Popliteus

Explanation: During last stages of extension, femur rotates medially on tibia due to quadriceps femoris to lock the knee joint. Femur rotates laterally on tibia during flexion.
Quadriceps femoris- Vastus medialis, vastus lateralis, vastus intermedius, rectus femoris. Unlocking occurs with popliteus.